All of the following are true about multiple myeloma except-
1. Osteolytic bone disease
2. t (18-14) translocation
3. Light chain proliferation
4. Bence-Jones proteins in urine

Correct answer: 2. t (18-14) translocation

Explanation: Ans. is 'b' i.e., t (8-14) translocationGenetics of multiple myeloma,o A variety of chormosomal abnormalities occur with multiple myeloma.o Most common chromosomal translocation seen with multiple myeloma is t (11 : 14) (q13 : q32) Other chromosomal abnormalities are 13814 deletions, 17813 deletions, Overexpression of ras or myc gene.